White piedra is caused by -
1. Piedra hortae
2. Pityrosporum orbicularea
3. Hortae wernickii
4. Trichosporum beigelli

Correct answer: 4. Trichosporum beigelli